Drug of choice for chronic gout is
1. Allopurinol
2. Febuxostat
3. Probenecid
4. Sulfinpyrazone

Correct answer: 1. Allopurinol

Explanation: (Ref: Katzung 14th ed. P 661)DOC for chronic gout/period between acute gout attacks: AllopurinolMOA: Xanthine oxidase inhibitorWhen initiating allopurinol therapy, colchicine or NSAID should be used until steady-state serum uric acid is normalized or decreased to less than 6mg/dL and they should be continued for 6 months or longer.Initial dose: 50-100mg/daySide effect:#Precipitation of gout (that's why initially given with NSAIDS or colchicine)#GI intolerance (N/V/D)#Peripheral neuritis and necrotizing vasculitis#Bone marrow suppression - Aplastic anemia#Hepatotoxicity and interstitial nephritis#Maculopapular rash and exfoliative dermatitis#CataractDOC for acute gout attack: Probenecid (NSAID except Aspirin)Febuxostat: Also, a xanthine oxidase inhibitor. Used in patients with intolerance to allopurinol or not responding to it.Uricosuric agents like Probenecid, Sulfinpyrazone, Lesinurad can also be used in treatment of gout especially when allopurinol or febuxostat is contraindicated.